Which one of the following is the investigation of choice for suspected deep vein thrombosis of the lower extremity ?
1. Radioactive labelled fibrinogen uptake
2. Ascending contrast phlebography
3. D-dimer estimation
4. Duplex ultrasonography

Correct answer: 4. Duplex ultrasonography

Explanation: Venous duplex ultrasonography is commonly performed to look for evidence of thromboembolism in superficial or deep venous system if lowe limbs. Reference:Bailey and love, 27th edition, page 988